Which is the only amino acid with good buffering capacity at physiological pH?
1. Arginine
2. Glutamic acid
3. Histidine
4. Valine

Correct answer: 3. Histidine

Explanation: Histidine plays a key role in making hemoglobin an excellent buffer in red blood cells.